Yolk sac is visible on USG first at
1. 4th week POG
2. Early 5th week POG
3. Late 5th week POG
4. 6th week POG

Correct answer: 3. Late 5th week POG

Explanation: yolk sac should be seen on transabdominal scanning when the mean sac diameter (MSD) is 20 mm or at a gestational age of 7 weeks and is usually seen endovaginally with an MSD of 8-10 mm or gestational age of 5.5 weeks.The gestational sac (GS) is the first sign of early pregnancy on ultrasound The threshold level identifies the earliest one can expect to see a sac (4 weeks, 3 days), and the discriminatory level identifies when one should always see the sac (5 weeks, 2 days).(Ref: Diagnostic Ultrasound by Carol M. Rumack, Stephanie R. Wilson, J. William Charboneau, and Deborah Levine,4thed, page 1079,1080)